The most important indication for surgical repair of a double uterus, such as a septate or bicornuate uterus, is
1. Habitual abortion
2. Dysmenorrhea
3. Menometrorrhagia
4. Dyspareunia

Correct answer: 1. Habitual abortion

Explanation: Habitual abortion is the most important indication for surgical treatment of women who have a double uterus. The abortion rate in women who have a double uterus is to three times greater than that of the general population. Therefore, women who present with habitual abortion should be evaluated to detect a possible double uterus. Hysterosalpingography, hysteroscopy, ultrasound, CT, and magnetic resonance imaging (MRI) are all potentially useful imaging modalities in this investigation. Dysmenorrhea, premature delivery, dyspareunia, and menometrorrhagia are other, less important indicators for surgical intervention.